The classical lobule of the liver is centred around
1. Postal vein
2. Bile duct
3. Central vein
4. Hepatic artery

Correct answer: 3. Central vein

Explanation: The "classic" liver lobule is the sixsided polyhedral prism with portal triads (hepatic artery, portal vein, and bile duct) at each of the corners. The vessels of the portal triads send distributing branches along the sides of the lobule, and these branches open into the sinusoids. The long axis of the lobule is transversed by the central vein, and this vessel receives blood from the sinusoids. Interconnecting sheets of hepatocytes are disposed in a radial pattern from the central vein to the perimeter of the lobule. Ref - pubmed.com